All help in assessing obesity except
1. Quetelet's Index
2. Ponderal Index
3. Corpulence Index
4. Sullivan Index

Correct answer: 4. Sullivan Index